All are seen in D.I.C except:
1. Hyperfibrinogenemia
2. Increase fibrin degradation products
3. Prolonged PT
4. Increased APTT

Correct answer: 1. Hyperfibrinogenemia

Explanation: DIC: Findings include the prolongation of PT and/or aPTT; platelet counts <100,000/mL3. The presence of schistocytes (fragmented red cells) in the blood smear with elevated levels of FDP is diagnostic of DIC. Fibrinogen can be decreased or normal but NEVER increased in cases of DIC.